During population-based screening programs, a 40 years old lady found to have cervical intraepithelial neoplasia. Which of the following is the treatment modality for this patient?
1. Cryotherapy
2. LEEP
3. Cold knife conization
4. All of the above

Correct answer: 4. All of the above

Explanation: The 5 most common techniques for the treatment of CIN include 2 ablative techniques--cryotherapy and laser ablation--and 3 excisional procedures--cold knife conization, laser cone excision, and LEEP. That these techniques are of equal efficacy, averaging 80-90% success rates in the treatment of CIN. Cure depends on the size of the lesion, endocervical gland involvement, margin status of any excisional specimen, and endocervical curettage results. Ref: Holschneider C.H. (2013). Chapter 48. Premalignant & Malignant Disorders of the Uterine Cervix. In A.H. DeCherney, L. Nathan, N. Laufer, A.S. Roman (Eds), CURRENT Diagnosis & Treatment: Obstetrics & Gynecology, 11e.